Nerve supply of nail bed of middle finger:
1. Radial nerve
2. Ulnar nerve
3. Median nerve
4. Axillary nerve

Correct answer: 3. Median nerve

Explanation: Ans. C i.e. Median nerve